Nitrous oxide Is contraindicated In patients with pneu-mothorax, pneumopericardium or Intestinal obstruction because it:
1. Depresses an already compromised myocardium
2. Permits the Use of limited FIO2 only
3. Is less soluble than nitrogen
4. Causes the expansion of air filled body cavities

Correct answer: 4. Causes the expansion of air filled body cavities

Explanation: Nitrous oxide displaces nitrogen in the air filled cavities and while doing so , it enters cavities faster that is even before nitrogen escapes. This results in expansion of such cavities leading to pnuemothorax and air embolus. Hence nitrous oxide should be avoided in such patients. From padmaja 4th edition Page no 191